Whispering produces a sound of:
1. 20-30db
2. 30-40db
3. 40-50db
4. 50-60db

Correct answer: 1. 20-30db

Explanation: Sound levels of some noises: Whisper: 20-30db Normal conversation 60-70db Mechanical damage; 150-160db Acceptable noise levels: expressed in db (A), sound pressure levels conforming to weighing curve (A) acceptable noise level < 85dbAuditory fatigue > 90 dbPermanent hearing loss > 100 dbTympanic membrane damage > 160 db. Environment Place Acceptable noise level Db (A) Residential Bed room 25 Living room 40 Commercial Office 30-45 Conference 40-45 Restaurants 40-60 Industries Workshop 40-60 Laboratory 40-50 Education Class room 30-40 Library 35-40 Hospitals Wards 20-35